All are true about external laryngocele except:
1. Produces a swelling in the neck on Valsalva
2. Communicates with laryngeal ventricle
3. Can be seen on CT
4. Herniates through cricothyroid membrane

Correct answer: 4. Herniates through cricothyroid membrane

Explanation: A laryngocele is an air sac formed by dilatation and prolongation of laryngeal saccule and is in communication with the ventricle. It herniates through thyrohyoid membrane.